The bone matrix has the following crystals ?
1. Calcium hydroxyapatite
2. Calcium pyrophosphate
3. Calcium phosphate
4. Calcium sulphate

Correct answer: 1. Calcium hydroxyapatite

Explanation: Ans. is 'a' i.e., Calcium hydroxyapatite Structure of bone Bone is a specialized connective tissue. o Bone components are :? Inorganic elements (65%) Organic matrix (35%) 1. Inorganic elements It is the mineral phase, principally composed of calcium and phosphate, mostly in the form of hydroxyapatite.